Which should not be used in raised IOT associated with uveitis:
1. Timolol
2. Pilocarpine
3. Atropine
4. Acetazolamide

Correct answer: 2. Pilocarpine

Explanation: B i.e. Pilocarpine Miotics (parasympathomimetic drugs e.g. Pilocarpine) are contraindicated in malignant or ciliary block glaucoma and post inflammatory glaucoma or glaucoma associated with uveitis. Q